Which of the following does not contain carotene?
1. Potato
2. Tomato
3. Carrot
4. Spinach

Correct answer: 1. Potato

Explanation: Beta carotene is the pro-vitamin of vitamin A .It is present in plant tissues.It has two beta iodine rings connected by a pollyprenoid chain.One molecule of beta carotene can give rise to two molecules of vitamin A ;but it may produce only in biological systems. Vegetable sources contain the yellow pigment beta carotene.Carrot contains significant quantity of beta carotene.Papaya , mango, pumpkins gre.en leafy vegetables (spinach,amaranath) are other good sources of vitamin A . Reference:DM VASUDEVAN Textbook SEVENTH EDITION; PAGENO: 464, 469.